Relation of renal vein with aorta is -
1. Anterior , above Superior mesenteric artery
2. Anterior, below Superior mesenteric artery
3. Anterior, below Inferior mesenteric artery
4. Posterior, below Superior mesenteric artery

Correct answer: 2. Anterior, below Superior mesenteric artery

Explanation: Left renal vein passes behind and below the superior mesenteric artery, crossing in front of the aorta.